Osteoblastic metastasis is seen in -
1. Lung Ca
2. Prostate Ca
3. Breast Ca
4. Hepatocellular Ca

Correct answer: 2. Prostate Ca

Explanation: . Prostate Ca